All the following structures form boundaries of Epiploic foramen, EXCEPT:
1. Portal vein
2. Inferior vena cava
3. Quadrate lobe of liver
4. First part of duodenum

Correct answer: 3. Quadrate lobe of liver

Explanation: The right margin of the lesser sac opens into the greater sac through the epiploic foramen. The superior boundary of the foramen is foramen by caudate lobe of the liver.Structures forming boundaries of the epiploic foramen are:Anteriorly: free border of lesser omentum, bile duct, hepatic artery and portal vein.Posteriorly: Inferior vena cavaSuperiorly: Caudate process of caudate lobe of liverInferiorly: First part of duodenum Ref: Clinical Anatomy by Regions By Richard S. Snell page 208.